Karion is seen in
1. Candida infection
2. Trichomoniasis
3. Pityriasis
4. Dermatophystosis

Correct answer: 4. Dermatophystosis

Explanation: D i.e. Dermatophytosis